In assessment of skeletal age, based on cervical vertebrae, as seen in lateral cephalometric radiograph, stage 3 indicates:
1. More than one year beyond peak growth
2. No growth
3. Less than one year prior to peak growth
4. Peak growth still a year or so ahead

Correct answer: 3. Less than one year prior to peak growth

Explanation: Vertebral ages can be calculated from the image of the cervical vertebrae seen in a lateral cephalometric radiograph.

(A) Diagrammatic drawings and relationships of the stages to the peak of mandibular growth.
(B) Stage 2, indicating that peak growth at adolescence is still a year or so ahead.
(C) Stage 3, which on average occurs less than 1 year prior to peak growth.
(D) Stage 4, typically a year or so beyond peak growth.
(E) Stage 5, more than 1 year beyond the peak of the growth spurt, probably with more vertical than anteroposterior growth remaining.
(F) Stage 6, more than 2 years beyond peak growth (but a patient with a severe skeletal problem, especially excessive mandibular growth, is not necessarily ready for surgery; the best way to determine the cessation of growth is serial cephalometric radiographs).